To visualize tympanic membrane pinna has to be pulled
1. Upwards, backwards and medially
2. Upwards, backwards and laterally
3. Downwards, backwards and laterally
4. Downwards, backwards and medially

Correct answer: 2. Upwards, backwards and laterally

Explanation: Outer part of EAC (Cartilage) is directed upwards, backwards and medially. Inner part of EAC (Bone) is directed downwards, forwards and medially. Therefore, to see the tympanic membrane, the pinna has to be pulled backwards, upwards and laterally (BUL) so as to bring the two parts in alignment.